For teletherapy setup, all are used except –
1. Iridium 127
2. Cobalt 60
3. Simulator
4. Computer

Correct answer: 1. Iridium 127

Explanation: Iridium 192 is used in Brachytherapy (not in teletherapy).